The advantages of hysterectomy in molar nr are:
1. Chance of choriocarcinoma becomes nil
2. Follow up is not required
3. Enlarged ovaries can be removed during oper
4. Chance of pulmonary embolisation is minimal

Correct answer: 4. Chance of pulmonary embolisation is minimal

Explanation: Chance for pulmonary embolisation is minimal and also it reduces the tumour burden and limit the chemotherapy. For more details refer page no 174 of text book of obsteics, sheila balakrishnan,2 nd edition.